Transamination reaction requires -
1. Biotin
2. Folic acid
3. Pyridoxin
4. Niacin

Correct answer: 3. Pyridoxin

Explanation: Ans. is 'c- i.e., Pyridoxin o Transamination involves the reversible transfer of a-amino group of a-amino acid to an a-keto acidQ to form a new amino acid and a new keto acid.o The enzyme catalyze the reaction is called aminotransferase (transaminase).o Most transaminases use GL-ketoglutarate (a-keto acid) as a common acceptor of a-amino group of a-amino acids,o All transaminases require pyridoxal phosphate (Vitamin B6) as a coenzymneQ.VitaminActive form (coenzvmes)Reaction typeB1 (Thiamin)Thiamine pyrophosphate (TPP)Oxidative decarboxylation, TransketolationB2 (Riboflavin)FMNt FADOxidation / Reduction (Redox reaction)B3 (Niacin)NAD\ NADP"Oxidation / Reduction (Redox reaction)B6 (Pyridoxin)Pyridoxal phosphate (PLP)Transamination, deamination, decarboxylation, condensation, trans-sulfurationBp (cobolamin)Methylcobalamin, deoxyadenosylcobalaminIsomerization of methylmelonyl-CoA to succinvl-CoA, synthesis of methionine from homocysteineFolic acidTetrahydrofolate (THF)One carbon group transferBiotinBiocytinCarboxylationPantothenic acidPentothenate in CoA and ACPAcyl group transferVitamin KVitamin KCarboxylation of glutamic acid residue